The purpose of heating gold foil before condensing is:
1. To improve welding quality
2. To melt the gold
3. To remove adsorbed gases on gold surface
4. To increase oxidation

Correct answer: 3. To remove adsorbed gases on gold surface

Explanation: Gold attracts gases that render it noncohesive, such gases must be removed from the surface of the gold before dental compaction. This process is usually referred to as degassing or annealing and is accomplished by application of heat.